For post-exposure prophylaxis, dose of human rabies immunoglobulin is:
1. 10 IU/kg
2. 20 IU/kg
3. 30 IU/kg
4. 40 IU/kg

Correct answer: 2. 20 IU/kg

Explanation: Human rabies immune globulin (HRIG): 20 IU/kg, maximum injected locally, rest IM in gluteal region. It is indicated in only in category III bites. Equine rabies immunoglobulin (ERIG)- It is given at dose of 40 IU/kg . Being heterologous in origin (horse), it is associated with serum sickness; hence not in use.